The method to diagnose displaced intrauterine device is:
1. Ultrasound
2. X-ray abdomen (erect view)
3. Uterine sound and hysteroscopy
4. All of the above

Correct answer: 4. All of the above

Explanation: Ans. All of the above